Pathognomonic feature of pelvic abscess is:
1. Bloody diarrhea.
2. Loose stools.
3. Mucous diarrhea.
4. Constipation.

Correct answer: 3. Mucous diarrhea.

Explanation: Ans: c (Mucous diarrhoea) Ref: Bailey, 24th ed, p. 1138(This question is a direct pick from Bailey)Passage of mucus occurring for the first time in a patient who has or recovering from peritonitis is pathognomonic of pelvic abscess.Pelvic abscessCommonest site of an intraperitoneal abscess both because the vermiform appendix is often pelvic in position and also the fallopian tubes are frequent site of infection.Most characteristic symptoms of a pelvic abscess are diarrhoea and the passage of mucus in the stools.Rectal examination - Bulging of the anterior rectal wall which, when the abscess is ripe, becomes soft cystic.Rectal drainage of a pelvic abscess is far preferable to suprapubic drainage, which risk exposing the general peritoneal cavity to infection.